Something done by the medical practitioner disgraceful and dishonourable to the medical profession is called
1. Professional misconduct
2. Civil negligence
3. Medical negligence
4. Criminal negligence

Correct answer: 1. Professional misconduct

Explanation: Professional misconduct It is defined as something done by the medical practitioner, which is disgraceful and dishonourable to the medical profession. It involves the abuse of medical profession Ref: FORENSIC MEDICINE AND TOXICOLOGY Dr PC IGNATIUS THIRD EDITION PAGE 375